Chalazion is:
1. Chronic inflammation of meibomian gland
2. Acute inflammation of meibomian gland
3. Inflammation of Zeis gland
4. None

Correct answer: 1. Chronic inflammation of meibomian gland

Explanation: Chronic inflammation of meibomian gland